The earliest congenital malformation that can he detected on USG:
1. Anencephaly
2. Hydrocephalus
3. Sacral agenesis
4. Down's syndrome

Correct answer: 1. Anencephaly

Explanation: Ans. Anencephaly